False rib is:
1. 1st
2. 2nd
3. 7th
4. 10th

Correct answer: 4. 10th

Explanation: 10th rib do not articulate with sternum anteriorly (false rib). The first seven 'true' ribs connect to the sternum by costal cartilages, whilst the remaining lower five 'false' ribs either join the suprajacent (upper) costal cartilage (8-10) or 'float' free at their anterior ends as relatively small and delicate structures tipped with cartilage. Fig. : Rib cage